All are feature(s) of sarcoidosis except:
1. High CD4: CD8 ratio
2. Hypercalciuria and hypercalcimia maybe present
3. f Serum levels of angiotensin-converting enzyme (ACE)
4. Schauman and asteroid bodies are pathognomic

Correct answer: 4. Schauman and asteroid bodies are pathognomic

Explanation: Answer- D. Schauman and asteroid bodies are pathognomicHypercalcemia and/or Hypercalciuria occurs in about 10% of sarcoidosis patients.Bronchoalveolar lavage fluid ln sarcoidosis is usually characterized by an increase in lymphocyte and a high CD4/ CD8 ratio."Schauman and asteroid bodies- although characteristic, these cells are not pathognomic of sarcoidosis because they may be encountered in other granulomatous diseases.The granuloma is the pathologic hallmark of sarcoidosis."Serum levels of anglotensin-conveing enzyme (ACE) can be helpful in the diagnosls of sarcoidosis.